Trial of labour is contraindicated in all of the following except :
1. Primigravida
2. Heart disease
3. Cesarean section
4. PIH

Correct answer: 1. Primigravida

Explanation: Primigravida